Genetic disorders are diagnosed at 11 weeks of pregnancy by :
1. Chorionic villous biopsy
2. Amniocentesis
3. Endometrial biopsy
4. Placentography

Correct answer: 1. Chorionic villous biopsy

Explanation: Chorionic villous biopsy